What is the reason for increased interstitial fluid?
1. Increase hydrostatic pressure, increase oncotic pressure
2. Decrease hydrostatic pressure, decrease oncotic pressure
3. Increase hydrostatic pressure, decrease oncotic pressure
4. Decrease hydrostatic pressure, increase oncotic pressure

Correct answer: 3. Increase hydrostatic pressure, decrease oncotic pressure

Explanation: Ans. C Increase hydrostatic pressure, decrease oncotic pressure* Starling's hypothesis states that the fluid movement due to filtration across the wall of a capillary is dependent on the balance between the hydrostatic pressure gradient and the oncotic pressure gradient across the capillary.The four Starling's forces are:1. Hydrostatic pressure in the capillary (Pc)2. Hydrostatic pressure in the interstitium (Pi)3. Oncotic pressure in the capillary (pc)4. Oncotic pressure in the interstitium (pi)The balance of these forces allows calculation of the net driving pressure for filtration.Net Driving Pressure =